High plasma drug concentration of phenytoin can cause which of the following adverse effects ?
1. Ataxia
2. Hirsutism
3. Gum hyperplasia
4. All of the above

Correct answer: 1. Ataxia